Initial investigation done in obstructive jaundice is?
1. ERCP
2. Ultrasound
3. Cholecystography
4. MRCP

Correct answer: 2. Ultrasound

Explanation: Diagnostic Advantages of Hepatobiliary Ultrasound Hepatobiliary Diagnostic Limitations of Ultrasound Remarks Rapid evaluation of liver and bile ducts Accurate identification of dilated bile ducts Not limited by pregnancy Guidance for fine-needle Biopsy Bowel gas Ascites Poor visualisation of distal C.B.D Initial Procedure of choice in biliary tract obstruction